Caorctation of aorta is most commonly seen with
1. ASD
2. VSD
3. PDA
4. Bicuspid aortic valve

Correct answer: 4. Bicuspid aortic valve

Explanation: Coarctation of aorta is associated with bicuspid aortic valve. Ref : Ghai essential of pediatrics, eighth edition, p.no:431